A 55 yr old male, with uncontrolled diabetes mellitus and hypertension, developed severe airborne contact dermatitis. The most appropriate drug for his treatment would be:
1. Systematic corticosteroids
2. ketoconazole
3. Azathioprine
4. Cyclosporine

Correct answer: 3. Azathioprine

Explanation: Case of contact dermatitis - Systematic corticosteroids cannot be used because pt. has DM & steroid cause impairment of blood glucose levels in well-controlled diabetics. Cyclosporine cannot be used as pt. is Hypertensive and it is a nephrotoxic drug. ketoconazole is antifungal drug. Therefore, Azathioprine (immunosuppressant) can be used in this case